Mucin clot test is done to detect -
1. Mucin in stool
2. Protein in CSF
3. Hyaluronate in Synovial fluid
4. Protein in pleural fluid

Correct answer: 3. Hyaluronate in Synovial fluid